Occupational cancer involve following organs except-
1. Lung
2. Breast
3. Bladder
4. Liver

Correct answer: 2. Breast

Explanation: Occupational cancers 

Lung (most common)                
Bladder   
Larynx   
Mesothelioma
Lymphatic system  
Pharynx
Liver     
Hematopoietic system   
Nasal cavity and sinuses     
Skin         
Soft tissue sarcoma